A patient exhibits swelling of the ankles and a bloated abdomen and has a history of malnutrition. The bloated abdomen is probably caused by?
1. Increased intestinal gas
2. Slow, chronic abdominal hemorrhage
3. Increased capillary hydrostatic pressure
4. Decreased capillary colloid osmotic pressure

Correct answer: 4. Decreased capillary colloid osmotic pressure

Explanation: In long-standing protein-energy malnutrition, protein catabolism takes place. Blood albumin level decreases. Which leads to decreased colloidal osmotic pressure in the capillaries.This causes increased capillary permeability and edema results.(Ref: Ganong's Review of medical physiology, 24th edition)